pANCA positive vasculitis is
1. Wegener's granulomatosis
2. Churg - Strauss syndrome
3. Polyarteritis nodosa
4. All of the above

Correct answer: 2. Churg - Strauss syndrome

Explanation: Answer- b. Churg - Strauss syndromePANCATypically found in:MicroscopicpolyangiitisChurg-StrausssyndromeIdiopathiccrescenticglomerulonephritisGoodpasteur'ssyndrome.pANCA's are also associated with certain non-vasculitic entities such as certain rheumatic and nonrheumatic autoimmune diseases, Inflammatory bowel diseases, certain drugs. Infections such as endocarditis and bacterial airway infection in patients with cystic fibrosis